Spread by mosquitoes:
1. Dengue
2. Kala azar
3. Trypanosomiasis
4. Listeriosis

Correct answer: 1. Dengue

Explanation: Ans: A (Dengue) Table: Arthropod-Borne DiseasesArthropodDisease transmittedI. MosquitoQMalaria, fiiaria, viral encephalitis (eg., Japanese encephalitis), viral fevers (eg., dengueQ, West Nile, viral haemorrhagic fevers (e.g., yellow fever, dengue haemorrhagic fever)2. HouseflyTyphoid and paratyphoid fever, diarrhoea, dysentery, cholera, gastroenteritis, amoebi- asis, helminthic infestations, poliomyelitis, conjunctivitis, trachoma, anthrax,yaws, etc.3. SandflyQKala-azar, oriental sore, sandfly fever, oraya fever.4. Tsetse flySleeping sickness5. LouseEpidemic ty phus, relapsing fever, trench fever, pediculosis6. Rat fleaQBubonic plague, endemic typhus, chiggerosis, hymenolepis diminuata7. BiackflyOnchocerciasis.8. Reduviid bugChagas disease.9. Word tickQTick typhus, viral encephalitis, viral fevers, viral haemorrhagic fever, (e.g., Kyasanur forest disease), tularemia, tick paralysis, human babesiosis.10. Soft tickQ fever, relapsing feverQ11. Trombiculid miteQScrub typhus, Rickettsial-pox.12. Itch-miteScabies.13. CyclopsGuinea-worm disease, fish tapeworm (D. latus).14. CockroachesEnteric pathogens.